Topical glucocorticoids in eyes causes:
1. Glaucoma
2. Optic atrophy
3. Retinal detachment
4. Corneal ulcer

Correct answer: 1. Glaucoma

Explanation: Ans: A (Glaucoma) Ref: Parson's Diseases of the Eye Pg:358: Basok Diseases of the Eye 5th edition, pg no 50Explanation:STEROIDSSystemic and topical steroids - causes. Posterior subcapsular cataractTopical steroids - causes, Open angle glaucomaThere is no safe dosageWho is Steroid responder?After 6 weeks of topical steroids, if the IOP>30mmHg - high responders22-30mmHg - moderate respondersNo change - non respondersStrong steroids (dexamethasone. betamethasone, prednisolone] - more potent in increasing the IOPFluoromethalone - lesser propensity to increase IOPDifluprednate - strong steroid but least potent to increase IOPOther Local Side Effects:Increased risk of super infectionDelayed wound healingCorneal meltingIndications of steroids in eye:Sterile ocular inflammationDisciform keratitisEpiscleritisScleritisUveitisOptic neuritisAllergic problemsPhlyctenVernal catarrahAllergic blepharoconjunctivitisPost operativeFollowing cataract surgeryKeratoplastyVitrectomyTrabeculectomy